Impotence quoad hauc means
1. Medically impotent
2. Legally impotent
3. Both medically and legally impotent
4. Impotent towards a particular women

Correct answer: 4. Impotent towards a particular women

Explanation: Impotence quoad hance with a particular individual owing to an invincible repugnance to the sexual act has been recognized. Ref: Krishan Vij textbook of forensic medicine and toxicology 5e; Chapter 27; Page no: 395